Cricothyroid joint is a
1. Hinge joint
2. Hyaline joint
3. Atavistic joint
4. Synovial joint

Correct answer: 4. Synovial joint

Explanation: Cricothyroid joint is a synovial joint. Each is formed by inferior cornu of thyroid cartilage with a facet on cricoid cartilage. Cricoid cartilage rotates at these joints on a transverse axis which passes transversely through these joints.